Most common type of hernia in females
1. Direct
2. Indirect
3. Femoral
4. Umbilical

Correct answer: 2. Indirect

Explanation: Ans. (b) IndirectRef: Bailey and Love 27th edition Page 1035* MC hernia in females - Indirect Inguinal* Femoral hernia: Most common in Females than Males.* Direct hernias are very rare in Females.* Incisional Hernia is more common in Females.